A 32-year-old man is admitted to the emergency department with visual problems. Radiographic examination reveals a tumor of the adenohypophysis (anterior pituitary gland). Physical examination reveals a loss of the lateral halves of the fields of vision of both eyes (bitemporal hemianopia or "tunnel vision"). Which of the following structures was most likely compressed by the tumor?
1. Optic nerve
2. Optic chiasm
3. Optic tract
4. Oculomotor

Correct answer: 2. Optic chiasm

Explanation: Compression of the optic chiasm can cause bitemporal hemianopia due to compression of nerve fibers coming from the nasal hemiretinas of both eyes. The optic chiasm is located in very close proximity above the pituitary gland. Compression of an optic nerve would cause complete blindness in the affected eye. Compression of an optic tract would cause homonymous hemianopia. Compression of the oculomotor nerve would cause the eye to deviate "out and down" (paralysis of the four extraocular muscles innervated by this nerve), ptosis (paralysis of levator palpebrae), and mydriasis (paralysis of constrictor pupillae). Compression of the abducens nerve would cause paralysis of the lateral rectus muscle, leading to medial deviation (adduction) of the eye.